A young female presented to the hospital OPD with suspected chlamydial infection. She was prescribed oral doxycycline for 2 weeks. After 3 weeks, she came to the hospital again with a mucopurulent cervicitis. On questioning, she admitted that she took the drug only for 3 days. What should be done next?
1. Rewrite the original prescription for oral doxycycline
2. Treat her with an intravenous dose of amoxicillin
3. Write a prescription for oral erythromycin for 10 d
4. Treat her with a single oral dose of Azithromycin

Correct answer: 4. Treat her with a single oral dose of Azithromycin

Explanation: Cervicitis is caused by C. Trachomatis. Treatment with oral doxycycline for 2 weeks would have eradicated C. Trachomatis and some other bacteria commonly associated with non-gonococcal cervicitis. Given the limited compliance of this patient a single oral dose of Azithromycin would be best for this patient